Radioisotope(s) preferred for management of bone metastasis is/are?
1. I-131
2. Iridium 192
3. Sr-89
4. Co-60

Correct answer: 3. Sr-89

Explanation: Sr-89 Radioisotope,a beta Emitter used in the palliation of painful Bone metastasis It is metabolised similar to calcium and targets the metabolically active regions of the bone It has a half life of 50.5 Days